Which of the following is a metabolite of carisoprodol
1. Meprobamate
2. Doxylamine
3. Dimethadione
4. Amphetamine

Correct answer: 1. Meprobamate

Explanation: Refer Goodman Gilman 11/e p422 Meprobamate was used as a CNS depressant drug but is rarely indicated now due to its addictive properties. It is a metabolite of carisoprodol, which is used as a centrally acting skeletal muscle relaxant